Hypercoagulation in Nephrotic syndrome is caused by:
1. Loss of Antithrombin III
2. Decreased Fibrinogen
3. Decreased Metabolism of Vitamin K
4. Increase in protein C

Correct answer: 1. Loss of Antithrombin III

Explanation: Answer is A (Loss of Antithrombin III) Loss of Antithrombin III contributes to the hypercoagulable state in Nephrotic syndrome `A hypercoagulable state frequently accompanies severe nephrotic syndrome due to urinary losses of antithrmbin reduced serum levels of protein C and S, hyperfibrinogenemia and enhanced platelet aggregation'